Which of the following product is primarily filtered with little secretion or reabsorption in renal tubules?
1. Sodium
2. Inulin
3. Glucose
4. Amino acids

Correct answer: 2. Inulin

Explanation: In addition to the requirement that it be freely filtered and neither reabsorbed nor secreted in the tubules, a substance suitable for measuring the GFR should be nontoxic and not metabolized by the body. Inulin, a polymer of fructose with a molecular weight of 5200 that is found in Jerusalem aichokes (Helianthus tuberosus), meets these criteria in humans and most animals and is extensively used to measure GFR.Ref: Ganong's review of Medical Physiology, 23rd edition, Page no: 645